A child presented with edema, massive proteinuria and hyperlipidemia. True statement about this condition is:
1. Type of focal segmental GN
2. IgA deposition on basement membrane
3. Foot process of glomerular membrane normal
4. Glomerular function is lost due to loss of polyanionic charge on both sites of glomerular foot process

Correct answer: 4. Glomerular function is lost due to loss of polyanionic charge on both sites of glomerular foot process

Explanation: Glomerular barrier function depends on the molecular size (the larger, the less permeable) and charge (the more cationic, the more permeable) is done. The anionic moieties present within the capillary wall including the acidic proteoglycans of the GBM and the sialoglycoproteins of epithelial and endothelial cells are responsible for the virtually complete exclusion of albumin (also having anionic charge) from the filtrate.